A case of Gestational trophoblastic neoplasia is detected to have lung metastasis. She should be staged as
1. Stage - I
2. Stage - II
3. Stage - III
4. Stage - IV

Correct answer: 3. Stage - III

Explanation: FIGO staging system of GTN: Stage I: Disease confined to the uterus Stage II: Gestational trophoblastic tumor (GTT) extends outside of the uterus but is limited to the genital structures (ovary, tube, vagina, and broad ligament) Stage III: GTT extends to the lungs, with or without known genital tract involvement Stage IV: All other metastatic sites